Ototoxicity and nephrotoxicity are characteristic adverse effects of wof
1. Chloramphenicol
2. Fluoroquinolones
3. b-Lactam antibiotics
4. Aminoglycosides

Correct answer: 4. Aminoglycosides

Explanation: Aminoglycoside Antibiotics SHARED TOXICITIES The aminoglycosides produce toxic effects which are common to all members( include ototoxicity, nephrotoxicity), but the relative propensity differs Ref:- kd tripathi; pg num:-744